A 37-day-old baby presented to the Pediatrics ER with increased respiratory effort along with grunting. Mother says he is always irritable, feeds very poorly and has not gained weight. History of frequent respiratory infections in the past 2 weeks O/E, Wide pulse pressure along with bounding peripheral pulses Hyperkinetic apex Continuous murmur in 2nd left intercostal space. The structure involved in the above condition develops from which embryological structure: -
1. Left sixth arch
2. Right sixth arch
3. Left fifth arch
4. Right fifth arch

Correct answer: 1. Left sixth arch

Explanation: Chest x-ray shows marked cardiomegaly with dilatation of the main pulmonary artery and bilateral pulmonary plethora ECG tells la dilatation, LV hypertrophy and left axis deviation which points towards the diagnosis of PDA. The left sixth aortic arch is responsible for the development of both the pulmonary arteries and the ductus arteriosus. Without regression of the ductus arteriosus, a patent connection remains between aorta and the pulmonary trunk. The ductus arteriosus often reaches functional closure within 24 hours after birth, whereas anatomic closure and subsequent formation of the ligamentum arteriosum often occur by the twelfth postnatal week.